True about Acetazolamide is ?
1. Decreased GFR
2. Action similar to sulphonamide
3. It decreases Na, K, Glucose excretion
4. It causes metabolic alkalosi

Correct answer: 1. Decreased GFR

Explanation: Ans. is 'a' i.e., Decreased GFR o Acetazolamide decreases GFR. o Carbonic anhydrase inhibitors increase delivery of solutes to the macula densa by inhibiting proximal reabsorption. o This results in activation of TGF (tubulo-glomerular feedback mechanism), causing increased afferent arteriolar resistance and reduces renal blood flow (RBF) and glomerular filtration rate (GFR). About option 'b' o Dont get confused with option b, with answer of previous question. o Acetazolamide has structural resemblance to sulfonamide, but mechanism of action is different. Acetazolamide acts as diuretic by inhibiting carbonic anhydrase, whereas sulfonamides are primarily antimicrobials and act by inhibiting bacterial folate synthesis.